A 24 year old unmarried male was brought by his family members with complaints of sudden onset of suspiciousness on his family members and on his neighbours. He had stopped consuming home cooked food saying that it was poisoned. He also had restlessness and decreased sleep. The diagnosis is?
1. Acute mania
2. Acute psychosis
3. Delirium
4. PTSD

Correct answer: 2. Acute psychosis

Explanation: Ans. B. Acute psychosisAcute psychotic disorders: These symptoms similar to schizophrenia but don't fulfill the duration criteria* Frequently preceded by a stressor (stressful life event), May also be precipitated by fever (physiological stressor)* have abrupt onset & often resolve completelyIn ICD-10: if symptoms present for < l month = Acute & Transient Psychotic disorderIn DSM-5:if symptoms present for < 1 month = Brief Psychotic DisorderIf symptoms last between 1- 6 months = Schizophreniform Disorder